Most common cause of syncope in children?
1. Breath holding spells
2. Hypoglycemia
3. Neurocardiogenic syncope
4. Hypovolemia

Correct answer: 3. Neurocardiogenic syncope

Explanation: Ans. is 'c' i.e., Neurocardiogenic syncope"The most common cause of childhood syncope is vasovagal syncope""Autonomic syncope" or "vasovagal syncope" or " vasodepressor syncope" is by far the most common cause of syncope in children, accounting for at least 50 percent of cases. "In susceptible children, pain and emotional stress can trigger vasovagal syncope, which is the most common type" .Vasovagal syncope is also known as neurocardiogenic syncope.Syncope or fainting is a sudden brief and transient loss of consciousness with atony. Mostly it is due to disturbance in blood flow to the brain.Syncope is common in children and most episodes go unnoticed.